Which of the following sequence is TRUE about structures affected in blast injuries?
1. Liver> bowel> lung>middle ear
2. Bowel>liver>middle ear> lung
3. Liver < bowel < lung < middle ear
4. Middle ear> bowel> lung> liver

Correct answer: 3. Liver < bowel < lung < middle ear

Explanation: "The structure injured by the primary blast wave, in order of prevalence, are the middle ear, the lung, and the bowel" The hollow organ containing gas or air are most readily damaged by blast waves. The homogeneous tissues like liver and muscles are least likely injured. In the underwater blast, injuries occur mostly in gastrointestinal tract and less commonly in lungs. The lung injuries can introduce air into the circulatory system. Death may occur from systemic air embolism. Tympanic membrane rupture is a sensitive marker for primary blast injuries. Ref: Love & Bailey 24/e, p 298-300; Reddy 29e, p 216; Parikh, 6/e, p 4.183-4.184